HEPA filter is used to disinfect -
1. Water
2. Air
3. Culture
4. Blood

Correct answer: 2. Air

Explanation: Ans. is 'b' i.e., Air o HEPA (High-efficiency particulate air) filter is used to remove microorganisms from air.o HEPA filter traps airborne particles and microbes.o It can remove > 95% of all particles including microorganisms with a diameter >0-3 pm.